Most common intraoral site of pigmented nevi is
1. Hard palate
2. Buccal mucosa
3. Lips
4. Floor of mouth

Correct answer: 1. Hard palate